Ocular examination of a man with a systemic disease shows 'sunflower cataract'. It has developed due to:
1. Diabetes mellitus
2. SLE
3. Chalcosis
4. Sarcoidosis

Correct answer: 3. Chalcosis

Explanation: Chalcosis refers to the specific changes produced by the alloy of copper in the eye. Clinical manifestations: Kayser-Fleischer ring: It is a golden brown ring which occurs due to deposition of copper under peripheral parts of the Descemet's membrane of the cornea. Sunflower cataract: It is produced by deposition of copper under the posterior capsule of the lens. It is brilliant golden green in colour and arranged like the pearls of a sunflower. Retina: It may show deposition of golden plaques at the posterior pole which reflect the light with a metallic sheen. Ref: Comprehensive Ophthalmology by A K Khurana, 4th edition, Page 410.